Which decreases risk of coronary artery disease?
1. LDL
2. HDL
3. VLDL
4. IDL

Correct answer: 2. HDL

Explanation: Ans. is 'b' i.e., HDL* High Density lipoprotein is involved in reverse cholesterol transport.* It collects cholesterol and phospholipids from extrahepatic tissue membranes and reach liver. In other words, it reverses atherosclerotic changes. Hence it is found to be protective against atherosclerosis.